A newborn infant is finally delivered with forceps after a difficult delivery. Upon physical examination of the newborn a cephalohematoma is noted from rupture of small periosteal arteries. Between which of the following layers of tissue does the blood accumulate?
1. Between skin and dense connective tissue layer
2. Between loose connective tissue layer and galea aponeurotica
3. Between galea aponeurotica and pericranium
4. Between pericranium and calvaria

Correct answer: 4. Between pericranium and calvaria

Explanation: Rupture of the periosteal arteries resulting in a cephalohematoma is defined as a collection of blood underneath the periosteum. On the head, it is located between the pericranium (periosteum of the skull) and the calvaria (skull). The galea aponeurotica, skin and areolar connective tissue are all located superficial to the site of bleeding and hematoma.